A surgeon was doing a laparoscopic hernia surgery and he visualised the triangle of doom. Which of the following is not the boundary of the same
1. Vas deferens
2. Gonadal vessels
3. Reflected peritoneum
4. Inguinal ligament

Correct answer: 4. Inguinal ligament

Explanation: The preperitoneal anatomy seen in laparoscopic hernia repair led to characterization of important anatomic areas of interest, known as the triangle of doom, the triangle of pain, and the circle of death. The triangle of doom is bordered medially by the vas deferens and laterally by the vessels of the spermatic cord. The contents of the space include the external iliac vessels, deep circumflex iliac vein, femoral nerve, and genital branch of the genitofemoral nerve Ref: Schwartz's principle of surgery 10th edition Pgno: 1499